Gaucher cell which stain is used-
1. Periodic Acid Sciff
2. Von Kossa
3. Oi1 red O
4. Sudan B lack

Correct answer: 1. Periodic Acid Sciff

Explanation: Ans. is 'a' i.e., Periodic Acid Sciff Morphology of Gauchers disease:o Glucocerebrosides accumulate in massive amounts within phagocytic cells throughout the body in all forms of Gaucher disease,o The distended phagocytic cells, known as Gaucher cells, are found in the spleen, liver, bone marrow, lymph nodes, tonsils, thymus, and Pever patches. Similar cells may be found in both the alveolar septa and the air spaces in the lung.o In contrast to other lipid storage diseases, Gaucher cells rarely appear vacuolated but instead have a fibrillary type of cytoplasm likened to crumpled tissue paper.o Gaucher cells are often enlarged, sometimes up to 100 ?m in diameter, and have one or more dark, eccentrically placed nuclei. Periodic acid-Schiff staining is usually intensely positive.o With the electron microscope the fibrillary cytoplasm can be resolved as elongated, distended lvsosomes, containing the stored lipid in stacks of bilayers.